Key enzyme in glycogenolysis ?
1. Branching enzyme
2. Glycogen synthase
3. Debranching enzyme
4. Glycogen phosphorylase

Correct answer: 4. Glycogen phosphorylase

Explanation: Ans. is 'd' i.e., Glycogen phosphorylase